A 4-year-old child presents with bleeding from right side of nose. He also gets purulent discharge from the same side. The likely diagnosis is:
1. Septal deviation with right maxillary sinusitis
2. Unilateral channel atresia
3. Antrochoanal polyp
4. Foreign body

Correct answer: 4. Foreign body

Explanation: Unilateral purulent nasal discharge and bleeding from the nose in a child indicate a foreign body.In antrochoanal polyp and unilateral choanal atresia, the epistaxis is absent. Similarly unilateral maxillary sinusitis can cause purulent discharge but no significant bleeding.